Sanitary well should be so located that no user will have to carry water for more than:-
1. 100 yards
2. 500 yards
3. 1000 yards
4. 350 yards

Correct answer: 1. 100 yards

Explanation: The distance between the well and the houses of the users should also be considered. If the well is situated far away, people may not use it. It is therefore recommended that the well should be so located that no user will have to carry water for more than 100 m (100 yards).